Esthesio neuroblastoma arises from -
1. Olfactory N
2. Maxillary N
3. Ophthalmic N
4. Nasociliary N

Correct answer: 1. Olfactory N

Explanation: Esthesioneuroblastoma or olfactory neuroblastoma are uncommon highly malignant tumors, arising from the neuroendocrine cells in the olfactory mucosa. Ref : Osborn Neuroradiology 1/e p493